Biomarker to rise earliest in myocardial infarction is:
1. Troponin-I
2. Creatine kinase-MB
3. Myoglobin
4. Troponin-T

Correct answer: 3. Myoglobin

Explanation: Ans. C: Myoglobin Cardiac markers help to assess acute coronary syndromes and to identify and manage high-risk patients. Creatine kinaseMB (CK-MB), myoglobin, homocysteine, C-reactive protein (CRP), troponin T (cTnT), and troponin I (cTnI) are all used for assessment of the suspected acute myocardial infarction. CK-MB, cTnT, and cTnI may also be used to identify and manage high-risk patients. Normal results vary, based on the laboratory and method used. Total CK: The values begin to rise within four to six hours and peak at 24 hours. Values return to normal within three to four days. CK-MB: The values begin to rise within two to four hours and peak at 24 hours. Values return to normal within 72 hours. Troponin T: The values begin to rise within two to four hours and peak at 48 hours. Troponin I: The values begin to rise within two to four hours and peak at 48 hours. Myoglobin: The values begin to rise within one to two hours and peak at four to eight hours. Values return to normal within 12-24 hours. Homocysteine: Moderate, intermediate, and severe hyperhomocysteinemia refer to concentrations between 16 and 30, between 31 and 100, and less than 100 micromol/ L, respectively. C-reactive protein Myoglobin is a protein found in both skeletal and myocardial muscle. It is released rapidly after tissue injury and may be elevated as early as one hour after myocardial injury, though it may also be elevated due to skeletal muscle trauma. However, if myoglobin values do not rise within three to four hours after a person shows acute symptoms, it is highly unlikely that he or she had an MI.